Dissecting haematoma is a clinical complication occurring in
1. Turner's syndrome
2. Klinefelter's syndrome
3. Down syndrome
4. Marfan syndrome

Correct answer: 4. Marfan syndrome

Explanation: Ans. (d) Marfan syndrome(Ref: Robbins 9th/pg 491-492; 8th/pg 496-497, Harrison 18th ed 2063)Dissecting aneurysmWall of an artery rips (dissects) longitudinallyThis occurs because bleeding into the weakened wall splits the wall.Common in Marfan syndrome QThoracic aorta more affected Q